Prevalence of disease is
1. Rate
2. Ratio
3. Proportion
4. Deviation

Correct answer: 3. Proportion